TB hand -
1. Spina ventosa
2. Cariessicca
3. Pott's disease
4. None

Correct answer: 1. Spina ventosa

Explanation: Ans. is 'a' i.e., Spina ventosa o Spina ventosa is the name given to tuberculosis of the phalanges of hand.o Shoulder joint tuberculosis, at times, may not produce any pus etc., and hence is called 'caries sicca' and should always be considered in differential diagnosis of much commoner shoulder problem - 'Frozen shoulder'.